The population of community X has 30% below 15years of age and 10% over 65years of age. Dependency ratio of community X is
1. 3%
2. 20%
3. 40%
4. 66.60%

Correct answer: 4. 66.60%

Explanation: Total dependency ratio = Children 0-14 years age + Population more than 65 years of age / Population of 15 to 64 years x 100Say population of X is 100 - 30 are below 15, 10 above 65 and 60 between 15 to 64So the Total dependency ratio = 30+10 / 60 = 40/60 = 2/3 = 66.6Park 23e pg: 490